Sunflower cataract is seen in ?
1. Wilson's disease
2. Congenital rubella
3. Blunt trauma to eye
4. Myotonicdystrophica

Correct answer: 1. Wilson's disease

Explanation: Ans. is 'a' i.e., Wilson's disease